Anti coagulant used in coagulation study is -
1. Calcium citrate
2. EDTA
3. Sodium bromide
4. Trisodium citrate

Correct answer: 4. Trisodium citrate

Explanation: Answer- D. Trisodium citrateFor coagulation studies: Trisodium citrate (citric acid).